A young femle, Rama with amenorrhea, infertility and galactorrhoea was treated with a drug that successfully restored ovulation adn menstruation. Before being given the drug, the woman was carefully questioned about previous mental health problems, which she did not have. She was advised to take the drug orally. The drug used to treat this patient was probably:
1. Bromocriptine
2. Desmopressin
3. Human gonadotropin hormone
4. Leuprolide

Correct answer: 1. Bromocriptine

Explanation: (Ref: KDT 6/e p236) Symptoms of the patient (amenorrhea, galactorrhea and infertility) points towards the diagnosis of hyperprolactinemia. Bromocriptine is a D2 receptor agonist that can be used in the treatment of hyperprolactinemia (dopamine acts as prolacting release inhibiting hormone in the hypothalamus). Psychosis occurs due to excessive stinulation of D2 receptors (D2 blockers are used as typical antipsychotic drugs) and bromocriptine can precipitate the symptoms in predisposed patients.